Mechanism of action of vancomycin is
1. Inhibit protein synthesis
2. Inhibit cell wall synthesis
3. Inhibiting bacterial DNA replication
4. Inhibit DNA dependent RNA synthesis

Correct answer: 2. Inhibit cell wall synthesis

Explanation: (Inhibit - Cell wall synthesis) (732-KDT6th)VANCOMYCIN - bactericidal and acts by interfering with cell wall synthesis, inhibits the release of peptido glycah units from their site of assembly on cell membrane phospholipids. Thus these residues are not available for cross linking to form the cell wall* Clindemycin, Spectinomycin - inhibits protein synthesis* Nalidixic acid - acts by inhibiting bacterial DNA replication* Rifampicin - inhibits DNA dependent RNA synthesis